Joint involved in rheumatoid arthritis are all EXCEPT:
1. PIP
2. DIP
3. MCP
4. Cervical spine

Correct answer: 2. DIP

Explanation: ANSWER: (B) DIPREF: Apley's 8th e p. 51-58Commonly involved joints in RA:WristMCPPIPElbow7KneeAnkleMTPLess commonly involved joints:Upper cervical spine with atlanto axial subluxationHip jointTM jointSubtalar and foot jointsJoints not involved in RA:Lumbar spineDIP